Most prevalent symptom seen in leiomyoma:
1. Pain
2. Dysphagia
3. Pyrexia
4. Weight loss

Correct answer: 2. Dysphagia

Explanation: Ans. (b) DysphagiaRef: Shackelford 7th Edition, Page 466* Most common benign tumor of esophagus: Leiomyoma* Most common site is lower- third esophagus* Most common presenting symptom is dysphagia (47.5% cases) > pain (45% cases)> Pyrosis (>40% cases)> Weight loss (24%)